Drug of choice for dermatitis herpetiformis:
1. Dapsone
2. Rifampicin
3. Ketokonazole
4. Azithromycin

Correct answer: 1. Dapsone

Explanation: Ans: (a) DapsoneRef: Katzung/1468* Dermatitis herpetiformis is a chronic blistering skin condition, characterized by blisters filled with a watery fluid.* DH is neither related to nor caused by herpes virus: the name means that it is a skin inflammation having an ap- pearance similar to herpes.* It characterized by intensely itchy, chronic papulove- sicular eruptions, usually distributed symmetrically on extensor surfaces (buttocks, back of neck, scalp, elbows, knees, back, hairline, groin, or face).* Diagnosis is confirmed by a simple blood test for IgA antibodies, and by a skin biopsy in which the pattern of IgA deposits in the dermo-epidermal junction, revealed by direct immunofluorescence.* Treatment: Dapsone is considered as drug of choice for DH.* In case of intolerance to dapsone, other drugs which can be used are: Colchicine, Tetracycline, Sulfapyridine.